In Guinea worm prophylaxis, all are true, except -
1. Acute search of new cases
2. Identification of carriers
3. Mass treatment with Mebendazole
4. Health education to people to use a sieve for stratining drinking water

Correct answer: 3. Mass treatment with Mebendazole

Explanation: for the prevention of drancunculiasis, steps taken are; - active search of cases - health education relating boiling and sieving drinking water. - prevention of water contamination by carriers. - provision of safe drinking water. Reference : Park's textbook of preventive and social medicine, 23rd edition, pg no:476, 246